Treatment in days for meningitis caused by Streptococcus pneumonia in children is
1. 5 days
2. 7 days
3. 10 days
4. 21 days

Correct answer: 3. 10 days

Explanation: The child with bacterial meningitis shows improvement in 10 days and rarely necessary beyond 14 daysStaph meningitis and gram-negative infection require treatment for 21-28 daysN.meningitis- Penicillin for 5-7 daysH. Influenza- for 7-10 days(Refer: Nelson's Textbook of Pediatrics, SAE, 1st edition, pg no. 1317)